One of the following infections is caused by anaerobic gram positive cocci
1. Puerperal infection
2. Food poisoning
3. Endocarditis
4. Septicemia

Correct answer: 1. Puerperal infection